The most common cause of urinary obstruction in a male infant is:
1. Anterior urethral valves
2. Posterior urethral valves
3. Stone
4. Stricture

Correct answer: 2. Posterior urethral valves

Explanation: Ans. B. Posterior urethral valves.A PUV is a congenital obstruction caused by a malformation of the posterior urethra. The significance of this obstruction depends on the secondary effects on the bladder, ureters, and kidneys. PUV is the most common cause of lower urinary tract obstruction in male neonates. PUVs are usually diagnosed before birth or at birth when a boy is evaluated for antenatal hydronephrosis.